Length of human intestine is about -
1. 5 meter
2. 8 meter
3. 12 meter
4. 15 meter

Correct answer: 2. 8 meter

Explanation: Ans. is 'b' i.e., 8 meters o Length of human intestine is 7-5 meter to 8-5 meterSmall intestine - 6 to 7 meterLarge intestine - L5 meter